Bartholin gland opening is at:
1. Inner side of labia minor external to hymen
2. Outer side of labia minor external to hymen
3. Inner side of labia minor internal to hymen
4. Outer side of labia minor internal to hymen

Correct answer: 1. Inner side of labia minor external to hymen

Explanation: Ans. A i.e. Inner side of labia minor external to hymen